Target for cure rate for multibacillary leprosy under programme Implementation plan for 12th plan period-
1. > 85%
2. > 80%
3. >75%
4. > 95%

Correct answer: 4. > 95%

Explanation: Ans. is 'd' i.e., > 95%Programme Implementation plan for 12th plan peroid : 2012-13 to 2016-17 o The Objectives of plan are :a) Elimination of leprosy i.e. prevalence of less than 1 case per 10,000 population(AI 13) in all districts of the country.b) Strengthen disability prevention and medical rehabilitation of persons affected by leprsosy.c) Reduction in the level of stigma associated with leprosy, o The targets of plan are :-Tatgets for the plan period 2012-13 to 2016-17IndicatorBaseline (2011-12)Targets (by March 2017)Prevalence Rate (PR) < 1/10,000543 districts (84[?]6%)642 districts (100%)Annual New Case Detection Rate (ANCDR) < 10/100,000 Population445 districts (69[?]3%)642 districts (100%)Cure rate multi bacillary leprosy cases (MB)90[?]56%> 95%Cure rate pauci bacillary leprosy cases (PB)95[?]28%> 97%Gr. II disability rate in percentage of new cases3[?]04%*35% reduction 1[?]98%Stigma reductionPercentage reported (NSSS 2010-11)**50% reduction over the Percentage reported by NSS* Gr-II disability rate among new cases per million population to be reduced by 35% i.e. from 3 (2011-12) to 2 per million population by end of the 12th plan.** Based on the National Sample Survey (NSS) report, 2010-11.